Acalculous cholecystitis is seen in
1. Patients recovering from major surgery
2. Trauma
3. Burns
4. All of the above

Correct answer: 4. All of the above

Explanation: Acalculous cholecystitis is common in critically ill patients due to bile stasis and ischaemia.It is common in patients who have undergone major surgeries,trauma,burns,or any other stress or in cases of cholecystosis.Patients who are on prolonged total parenteral nutrition,atherosclerosis,etc are highly prone for acalculous cholecystitis.Reference:SRB's manual of surgery,5th edition,page no:645.